Which organism can penetrate intact cornea:
1. Pneumococcus
2. Gonococci
3. Pseudomonas
4. Staphylococci

Correct answer: 2. Gonococci

Explanation: Ans. B: Gonococci Organisms that penetrate intact epithelium: Corynebacterium (Diptheria)-a nonencapsulated, nonmotile, gram-positive bacillus Acanthamoeba Neisseria gonorrhoea Aegyptius Listeria Shigella